Dosage and drug of choice for primary syphilis:
1. Amoxicillin (500 mg for 5 days)
2. Benzathine penicillin (2.4 mega units deep IM)
3. Erythromycin (2 gm daily for 2 weeks)
4. Doxycycline (100 mg daily for 2 weeks)

Correct answer: 2. Benzathine penicillin (2.4 mega units deep IM)

Explanation: Ans. B i.e. Benzathine penicillin (2.4 mega units deep IM) Treatment of syphilis Primary or secondary syphilis - Benzathine penicillin G 2.4 million units intramuscularly (IM) in a single dose Early latent syphilis - Benzathine penicillin G 2.4 million units IM in a single dose Late latent syphilis or latent syphilis of unknown duration - Benzathine penicillin G 7.2 million units total, administered as 3 doses of 2.4 million units IM each at 1-week intervals Pregnancy - Treatment appropriate to the stage of syphilis is recommended. In patients with a history of penicillin allergy, skin testing is recommended.